Which of the following is the mechanism of action of dietary fibre in reducing atherosclerosis?
1. Binding to cholesterol
2. Decreases VLDL
3. Increasing fluid retention
4. Forming antioxidants

Correct answer: 1. Binding to cholesterol

Explanation: High fiber intake improves glycemic control, lowers lipid values, and improves insulin sensitivity. Dietary fibre binds to cholesterol thus decreases its absorption. The lowering of plasma cholesterol may reflect increased bile-acid secretion but there may also be a contribution from decreased cholesterol absorption. The high-fiber diet decreased plasma total cholesterol by 6.7 percent, triglyceride concentrations by 10.2 percent and VLDL by 12.5. The high-fiber diet decreased gastrointestinal absorption of cholesterol by 10 percent. Thereby it decreases progression of atherosclerosis. Ref: Pearlman J., Pick A. . Benefits of High Dietary Fiber Intake in Patients With Type 2 Diabetes. In D.L. Longo, A.S. Fauci, D.L. Kasper, S.L. Hauser, J.L. Jameson, J. Loscalzo (Eds), Schwartz's Principles of Surgery, 8e.